A patient presents to the emergency department with uniocular diplopia. Examination with oblique illumination shows golden crescent while examination with co-axial illumination show a dark crescent line. Which of the following is the most likely diagnosis?
1. Lenticonus
2. Coloboma
3. Microspherophakia
4. Ectopia lentis

Correct answer: 4. Ectopia lentis

Explanation: Ans. (d) Ectopia lentisRef: 'Ophthalmology by Khurana (2005)/p. 25; 'Clinical Examination in Ophthalmology' by Mukherjee (2006)/166; Neema 6/e, p. 285, 286Presence of uniocular diplopia together with finding of golden crescent on oblique illumination (edge of subluxated lens) or black crescent line on co-axial illumination (edge of subluxated lens) suggests a diagnosis of 'Subluxation' of the crystalline lens.